A surgeon removed section of tissues how would he confirm that cut margin doesn't contain any suspicious tissue intraoperatively?
1. Punch biopsy
2. Brush biopsy
3. Frozen section
4. Exfoliative cytology

Correct answer: 3. Frozen section